The type of joint present between Epiphysis & Diaphysis is
1. Fibrous joint
2. Synovial joint
3. Synchondrosis
4. Syndesmosis

Correct answer: 3. Synchondrosis

Explanation: PRIMARY CARTILAGINOUS JOINT (SYNCHONDROSIS): THESE BONE ARE UNITED BY A PLATE OF HYALINE CARTILAGE SO THE JOINT IS IMMOVABLE AND STRONG Description Ref BD CHAURASIA S Handbook of General Anatomy Fourth edition Pg no 63